Which of the following organ can cause antigen reaction when exposed in self blood?
1. Kidney
2. Liver
3. Eye lens
4. Platelets

Correct answer: 3. Eye lens

Explanation: Ans. is 'c' i.e., Eye lens Antigen Sequestration* Some self reactive lymphocytes cannot react against the host cells because these cells or antigens are located in the tissues which do not communicate with blood & interact with immune system during development. These sites are called immune privileged sites, because it is difficult to induce immune response to antigen in these sites. These are treated as foreign when introduced into circulation and they elicit both humoral and cellular response.* Examples of such sites arei) Eye - lens and uveal tractii) Testis - spermsiii) Brain